Elderly patient with fracture right hip anesthetic of choice
1. Spinal/epidural
2. General
3. Local infiltration
4. None of the above

Correct answer: 1. Spinal/epidural

Explanation: Regional anaesthesia (spinal/epidural) is preferred in elderly high-risk patients.(Refer: Morgan and Mikhail's Clinical Anaesthesiology, 5th edition, pg no.945)